Androgen is secreted by
1. Leyding cell
2. Sertoli cell
3. Cowper's gland
4. Intermediate cells

Correct answer: 1. Leyding cell

Explanation: Any steroid hormone that promotes male secondary sex characters. The two main androgens are androsterone and testosterone. The androgenic hormones are internal endocrine secretions circulating in the bloodstream and manufactured mainly by the testes under stimulation from the pituitary gland.Ref: Ganong's review of medical physiology; 24th edition; page no:-428